Chvostek's and Trousseau's signs are related to
1. Hypocalemia
2. Hypercalcemia
3. Hypokalemia
4. Hyperkalemia

Correct answer: 1. Hypocalemia

Explanation: Chvostek's and Trousseau's signs are related to hypocalcemia.Chvostek's sign refers to contraction of the ipsilateral facial muscles on percussion of the facial nerve below the zygoma. Trousseau's sign refers to the development of carpopedal spasm secondary to occlusion of the arm (usually with a blood pressure cuff).Ref: Bailey and Love 27e pg: 831